Drug of choice in pregnancy induced hypertension is
1. Amlodipine
2. Losartan
3. Diuretic
4. Methyldopa

Correct answer: 4. Methyldopa